Lymphatic drainage of ovary?
1. Deep inguinal
2. Superficial inguinal
3. Obturator
4. Paraaortic

Correct answer: 4. Paraaortic

Explanation: Ans. is 'd' i.e., Para-aorticLymphatics of the ovary drain to para-aortic nodes alongside the origin of the ovarian artery (L2).